Papilledema is caused by
1. Vitamin D intoxication
2. Vitamin A intoxication
3. Vitamin E intoxication
4. Vitamin B intoxication

Correct answer: 2. Vitamin A intoxication